About first order kinetics,true statement is
1. Clearance remains constant
2. Fixed amount of drug is eliminated
3. Half life increases with dose
4. Decreases clearance with increased dose

Correct answer: 1. Clearance remains constant

Explanation: Clearance is variable in zero-order kinetics because a constant amount of the drug is eliminated per unit time, but it is constant in first-order kinetics, because the amount of drug eliminated per unit time changes with the concentration of drug in the blood Ref-KDT 6/e p32